Serial interval is?
1. Time interval between invasion of infection and appearance of first sign or symptom
2. Time between onset of primary case and secondary case
3. Interval of time between receipt of infection by a host and maximum inefectivity
4. Time in which infectious agent is transferred from one host to another

Correct answer: 2. Time between onset of primary case and secondary case

Explanation: SERIAL INTERVAL is the gap in time between the onset of the primary case and the secondary case.it helps to get a distribution of secondary cases from which we can guess the incubation period of diseasered:park's textbook of preventive and social medicine,22 nd edition,pg no 96